Carcinoma of lung, breast marker is -
1. CEA
2. AFP
3. 11CG
4. CA-15-3

Correct answer: 1. CEA

Explanation: Ans. is 'a' i.e., CEA o Carcinoembryonic antigen is a marker in cancer of colon, pancreas, lung, breast, and ovary.